Which of the following may be seen in Multiple Myeloma:
1. Decreased Calcium
2. Sclerotic bone lesion
3. Bone deposition
4. Renal failure

Correct answer: 4. Renal failure

Explanation: Answer is D (Renal failure) Renal failure occurs in nearly 25% of Myeloma patients and some renal pathology is noted in over half. Multiple Myeloma is associated with Lvtic bone lesion and Bone Resorption The bone lesions of Myeloma are caused by activation of osteoclasts that destroy bone and suppression of osteoblasts that form bone. Bone lesions are thus lytic in nature and not sclerotic. There is a net resorption of bone and not bone deposition. Multiple Mveloma is associated with Hypercalcemia and not Hypocalcemia Hypercalcemia is caused by substantial mobilization of calcium from bone due to associated bony lysis.